Inclusion body containing glycogen is seen in ?
1. Chlamydia trachomatis
2. Chlamydia pneumoniae
3. Chlamydia psittaci
4. All of the above

Correct answer: 1. Chlamydia trachomatis

Explanation: Ans. is 'a' i.e., Chlamydia trachomatis Characteristics of the chlamydia C trachomatis C pneumaniae C psittaci Inclusion morphology Round, vacuolar Round, dense Large, variable shape, dense Glycogen in inclusions Yes No No Elementary body morphology Round Pear-shaped, round Round Susceptible to sulfonamides Yes No No DNA homology to < 10% 100%< 10% C pneumoniae Plasmid Yes No Yes Serovars 15 1 > 4 Natural host Humans Humans Birds Mode of transmission Person to person, mother Airborne person to Airborne bird excreta to to infant person humans Major diseases Trachoma, STDs, infant pneumonia, lymphogran-uloma venereum Pneumonia, bronchitis, pharyngitis, sinusitis Psittacosis, pneumonia,fever of unexplained origin